Christmas tree cataract is seen in:
1. Down's syndrome
2. Rubella
3. Myotonic dystrophy
4. Diabetes

Correct answer: 3. Myotonic dystrophy

Explanation: Ans. Myotonic dystrophy